Order of water absorption from GIT is:
1. Duodenum>Jejunum>Ileum.
2. Jejunum>Ileum>Colon.
3. Jejunum>Colon>Rectum.
4. Jejunum>Ileum>Rectum.

Correct answer: 2. Jejunum>Ileum>Colon.

Explanation: Order of water absorption: 
Jejunum > ileum > colon